Lesions of the lateral cerebellum cause all of the following, except
1. Incoordination
2. Intention tremors
3. Resting tremors
4. Ataxia

Correct answer: 3. Resting tremors

Explanation: First, the most common or classical Parkinson's disease tremor is defined as a resting tremor, or rest and postural/kinetic tremor with the same frequency. This tremor is inhibited during movement and may reoccur with the same frequency when adopting a posture or even when moving Ref: guyton and hall textbook of medical physiology 12 edition page number:681,682,683